One of the most important advantages of truly elastic impression material would be its capacity for:
1. Close adaptation to soft tissues
2. With drawl without permanent distortion
3. Reproduction of surface details
4. Compatibility with gypsum products

Correct answer: 2. With drawl without permanent distortion